Most accurate measurement of extracellular fluid volume (ECF) can be done by using :
1. Sucrose.
2. Mannitol.
3. Inulin.
4. Aminopyrine

Correct answer: 3. Inulin.

Explanation: Ans. is 'c' i.e. Inulin First let's see different types of body fluid.Extracellular fluid - It is a general term for all the body fluids outside the cells.It consists ofInterstitial fluidPlasmaLymphCerebrospinal fluidIntracellular fluidPortion of total body fluid which are within the cell membranesMeasurement of body fluid volumesExtracellular fluid volume -It is most accurately measured by Inulin*It can also be measured bymannitol*sucrose*Plasma volume- It is measured byEvan's blue*Albumin labelled with radioactive iodine*Total body fluid - It can be measured byD2O* (most frequently used)Tritium oxide*Amino pyrine*Interstitial fluid volume and intracellular fluid volume cannot be measured directly. These volume are calculates by.Interstitial fluid volume = ECF - plasma volumeIntracellular fluid volume = Total body fluid - Extracellular fluidAlso Remember Distribution of body fluid volume*Total body water = 60% of body weight = 42 L in a 70 kg man.I CF = 40% of body weight = 28 L in a 70 kg manECF = 20% of body weight = 14L in a 70 kg manInterstitial fluid = 15% of body weight = 10.5 L in a 70 kg manBlood volume = 8% body weight = 5.5 L in a 70 kg manPlasma volume = 5% of body weight = 3.5 L in a 70 kg man